Most common type of optic nerve glioma is-
1. Gemistocytic
2. Fibrous
3. Protoplas
4. Pilocytic

Correct answer: 4. Pilocytic

Explanation: Slow growing tumour arising from the astrocytes. .occurs in first decade of life. Ref: ak khurana 6th edition